Biomarker not involved in acute kidney injury is
1. NGAL
2. KIM 1
3. Micro RNA 122
4. Cystatin C

Correct answer: 3. Micro RNA 122

Explanation: Ans. is 'c' i.e., Micro RNA 122